A 20-year-old man, suffers from schizophrenia. He has a monozygotic twin brother. Based on the findings from genetic studies, what is the risk (in %) that his brother will develop schizophrenia?
1. 17%
2. 27%
3. 37%
4. 47%

Correct answer: 4. 47%

Explanation: The risk of developing schizophrenia is 47% for mono-zygotic twins of schizophrenia patients. Epidemiology: Lifetime prevalence- 1% Point prevalence- 0.5-1% Incidence rate- 0.15-0.25 per thousand Prevalence in specific groups One parent with schizophrenia 12% Both parents with schizophrenia 40% Non twin sibling of a patient with Schizophrenia 8% Dizygotic twin of patient with schizophrenia 12% Monozygotic twin of a patient with schizophrenia 47%